Which of the following is present in the peritoneal reflection which forms one of the borders of the paraduodenal fossa
1. Inferior mesenteric vein
2. Middle colic vein
3. Left colic vein
4. Splenic vein

Correct answer: 1. Inferior mesenteric vein

Explanation: The paraduodenal recess may occur in conjunction with superior and inferior duodenal recesses. It lies a little to the left and slightly behind the fourth part of the duodenum, behind a falciform fold of peritoneum. The free right edge of this fold contains the inferior mesenteric vein and ascending branch of the left colic artery, and is part of the left colic mesentery. This recess is the site of a 'left paraduodenal hernia'